Anhydrous glucose in reduced osmolarity ORS-
1. 26 gm\/l
2. 2.9 gm\/L
3. 13.5 gm\/L
4. 1.5 gm\/L

Correct answer: 3. 13.5 gm\/L

Explanation: Reduced osmolarity of anhydrous glucose is 13.5 grams/litre.2.6 is og sodium chloride ,1.5 is of potassium chloride ,2.9 is of trisodium citrate.(Ref.PARK'S textbook of social and preventive medicine 21st edition page no.202)